Beta lactam antibiotics are all except :
1. Amoxicillin
2. Aztreonam
3. Ceftriaxone
4. Vancomycin

Correct answer: 4. Vancomycin